The following parasitic infections predispose to malignancies?
1. Paragonimus westermani
2. Guinea worm infection
3. Clonorchiasis
4. Ancyclostoma

Correct answer: 3. Clonorchiasis

Explanation: Ans. (c) ClonorchiasisRef: Robbin's pathology 9th ed. /874-75* Clonorchis Sinesis: Cholangiocarcinoma* Schistosoma Hematobium: Squamous cell cancer of urinary bladder* Schistosoma Japonicum: Colorectal cancer